Anticoagulant  used for osmotic fragility test
1. EDTA
2. 3.2 % Trisodium citrate
3. Heparin
4. Warfarin

Correct answer: 3. Heparin

Explanation: Heparin - osmotic fragility test.
EDTA - Blood cell counts.
3.2% trisodium citrate  - ESR, platelet studies.